Stapedial reflex is absent in -a) Otosclerosisb) X nerve lesionc) VIII nerve lesiond) V nerve lesion
1. a
2. bc
3. ac
4. b

Correct answer: 3. ac